Protein structure not lost in denaturation is?
1. Primary structure
2. Secondary structure
3. Tertiary structure
4. Quaternary structure

Correct answer: 1. Primary structure

Explanation: ANSWER: (A) Primary structureREF: Lehninger 4th Edition page 14, Lippincott's 4th Ed page 22See previous questionRepeat Biochemistry December 2010